Which primary tooth has longest duration of function
1. mandibular canine
2. maxillary canine
3. mandibular 2nd molar
4. maxillary 2nd molar

Correct answer: 2. maxillary canine

Explanation: Maxillary Permanent canine has the longest duration of function and is last to shed off. One of the reasons is its long root.